During neonatal resuscitation, the chest compression to ventilation ratio is
1. 15:01
2. 5:01
3. 10:01
4. 3:01

Correct answer: 4. 3:01

Explanation: It is important to ventilate in between chest compressions. A positive breath should follow every third chest compression(chest compression to ventilation ratio is 3:1). 
In one minute, 90 chest compressions and 30 breaths are administered(120 events). 
To obtain this, the chest should be compressed 3 times in 1.5 seconds leaving out approx. 0.5 second for ventilation.